MC cause of delirium ?
1. Infection
2. Liver failure
3. Belladonna poisoning
4. None of the above

Correct answer: 1. Infection

Explanation: Ans. A. InfectionInfection is one of the most common causes of delirium.